When working with condensation silicone impression material, it is advisable to pour the cast
1. Immediately
2. After 1 hour
3. After 4 hours
4. After 24 hours

Correct answer: 1. Immediately